Aspergillus is best described by which of the following statements?
1. Widespread in environment; conidia may be inhaled; microscopic appearance in specimen reveals dichotomous branching and septate hyphae
2. Round, black sporangia filled with endospores; sporangia unbranched, rising from a runner called a stolon
3. Single-tipped sporangiophores; no rhizoids or stolons; non septate hyphae, which show branching
4. Yeast forms with budding blastoconidia often showing pseudo hyphae; positive germ tube test; chlamydospores present

Correct answer: 1. Widespread in environment; conidia may be inhaled; microscopic appearance in specimen reveals dichotomous branching and septate hyphae

Explanation: Aspergillosis, caused by a number of species of Aspergillus, is characterized in direct smear by septate hyphae, dichotomously branched. A. flavus and A. fumigatus are often seen as saprophytes in the laboratory but also account for the major species isolated from patients with aspergillosis. Differentiation of species, as with the Zygomycetes, is dependent upon isolation of the fungus and precise morphological examination.